All are classification systems of portal hypertensive gastropathy, EXCEPT:
1. McCormack
2. Tanoue
3. Los angeles
4. NIEC = New Italian Endoscopic Club

Correct answer: 3. Los angeles

Explanation: Classification of Portal Hypertensive Gastropathy McCormack Tanoue NIEC = New Italian Endoscopic Club. Mild Grade I Mosaic pattern Fine pink speckling (scarlatina-type rash) Mild reddening Mild: diffuse pink areola Superficial reddening Congestive mucosa Moderate: flat red spot in the pink areola Mosaic pattern Severe: diffuse red areola Severe Grade II Red mark lesion Discrete red spots Severe redness and a fine reticular pattern separating the areas of raised edematous mucosa Discrete Diffuse hemorrhagic lesion Confluent (diffuse) Grade III Black brown spot Point bleeding + grade II NIEC = New Italian Endoscopic Club. Ref: GASTROINTESTINAL ENDOSCOPY Volume 66, No. 2 : 2007